Th1 cells produce?
1. IL-1
2. IL-2
3. IL-4
4. IL-5

Correct answer: 2. IL-2

Explanation: Ans. (b) IL-2(Ref: Inflamm Bowel Dis. 1999 Nov;5(4):285-94)Type 1 T helper (Th1) cells produce interferon-gamma, interleukin (IL)-2, and tumour necrosis factor (TNF)- beta, which activate macrophages and are responsible for cell-mediated immunity and phagocyte-dependent protective responses. By contrast, type 2 Th (Th2) cells produce IL-4, IL-5, IL-10, and IL-13, which are responsible for strong antibody production, eosinophil activation, and inhibition of several macrophage functions, thus providing phagocyte-independent protective responses.